False about medullary Cancer thyroid is?
1. Tumor marker is calcitonin
2. From parafollicular cells
3. RET mutation
4. 90% familial

Correct answer: 4. 90% familial

Explanation: 90% of medullary carcinoma thyroid is sporadic.